In ARDS  mechanical TV is
1. 2-3ml/kg
2. 5-7 mI/kg
3. 5-lOml/kg
4. 12-14ml/kg

Correct answer: 2. 5-7 mI/kg

Explanation: Low volume ventillation(6 ml/kg predicted body weight)has got lower mortality(31%) as compared to the conventional ventilation (12 mL/kg predicted body weight)-40%.